Indicator of moderate to severe malnutrition's is –
1. Serum transferrin 160
2. Body mass index 19
3. Albumin 2.1 g/dl
4. Transthyretin

Correct answer: 3. Albumin 2.1 g/dl